Shenton's line is
1. Cause joining femoral neck to lower border of superior public ramus
2. Cause joining femoral neck to higher border of superior public ramus
3. Cause joining ischial tuberosity to obturator foramen
4. Cause joining ASIS and obturator foramen

Correct answer: 1. Cause joining femoral neck to lower border of superior public ramus